DHAT syndrome is?
1. Passage of blood in urine
2. Passage of semen in urine
3. Passage of pus in urine
4. None

Correct answer: 2. Passage of semen in urine

Explanation: Ans is 'b' i.e. Passage of semen in urine * Dhat syndrome is a culture-bound syndrome prevalent in Indian subcontinent in which male patients report that they suffer from premature ejaculation or impotence, and believe that they are passage of semen (dhat) in urine. The condition has no known organic cause.* It may be associated multiple somatic symptoms, Asthenia, anxiety, depression or sexual dysfunction.